Type of anemia seen in Rheumatoid arthritis is:
1. Microcytic hypochromic anaemia
2. Macrocytic hypochromic anaemia
3. Normocytic hypochromic anaemia
4. Normocytic normochromic anaemia

Correct answer: 4. Normocytic normochromic anaemia

Explanation: Answer is D (Normocytic normochromic anaemia): Wormoehromic, normoepie anaemia k frequently present in Rheumatoid arthritis. It is thought to reflect ineffective erythropoesis, large stores of iron are found in the bone marrow'-